The major cells seen in gingiva are
1. Fibro blast
2. Odontoblasts
3. Cementoblasts
4. Merkel cells

Correct answer: 1. Fibro blast